Best Material for below inguinal arterial graft is
1. Saphenous vein graft (upside-down)
2. PTFE,
3. Dacron
4. Teflon

Correct answer: 1. Saphenous vein graft (upside-down)

Explanation: Critical limb ischemia (CLI) is defined by the presence of ischemic rest pain in the distal foot, ischemic nonhealing ulcerations, or gangrene.
CLI is the progressive evolution and clinical manifestation of peripheral arterial disease (PAD).
It is seen in patients with severe arterial occlusive disease in whom resting blood flow cannot accommodate basal nutritional needs of the tissues.
Patients will complain of rest pain or a feeling of cold or numbness in the foot and toes.
Frequently, these symptoms occur at night when the legs are horizontal and improve when the legs are in a dependent position. With severe ischemia, rest pain may be persistent.